Screening of cervical cancer at PHC levels is by:
1. History
2. Coloposcopy
3. Pap smear
4. CT Scan

Correct answer: 3. Pap smear

Explanation: Pap smear